Tetralogy of fallot is characterized by following except
1. AS
2. VSD
3. Over-riding of aorta
4. Infundibular constriction

Correct answer: 1. AS

Explanation: TOF consist of right ventricular hypertrophy, pulmonary stenosis, VSD,overriding of aorta Ref : Ghai essential of pediatrics eighth edition,p.no:420